Hang up angle reflex seen in -
1. Hypothyroidism
2. Thyrotoxicosis
3. Sipple syndrome
4. Wermer syndrome

Correct answer: 1. Hypothyroidism